In humans, rate limiting step of de novo pyrimidine synthesis is:
1. Aspartate tanscarbamoylase
2. Carbamoyl phosphate synthetase-II
3. Dihydro orotate dehydrogenase
4. Ornithine tanscarbamoylase

Correct answer: 2. Carbamoyl phosphate synthetase-II

Explanation: De-novo pyramidine synthesis Rate limiting step in mammals CPS II in bacteria Aspartate transcarbamoylase CPS I CPS II Rate-limiting enzyme of urea cycle Rate limiting step of pyrimidine synthesis Found in mitochondria Found in cytosol Uses ammonia as nitrogen source Uses glutamine as nitrogen source Requires N-acetylglutamate as positive allosteric activator Doesnt require N-acetylglutamate Hypoxanthine-guanine phosphoribosyltransferase(HPRT) catalyzes salvage of the purine bases guanine and hypoxanthine into GMP and IMP.